Besbuer Boeck schaumann disease is also called as
1. Sarcoidosis
2. Crohn'disease
3. Whipple's disesae
4. Hodgkin's disesae

Correct answer: 1. Sarcoidosis

Explanation: Ref harshmonhan 6/e p164-165 Sarcoidosis is a disease characterized by the growth of tiny collections of inflammatory cells (granulomas) in any part of your body -- most commonly the lungs and lymph nodes. But it can also affect the eyes, skin, heart and other organs. The cause of sarcoidosis is unknown, but experts think it results from the body's immune system responding to an unknown substance. Some research suggests that infectious agents, chemicals, dust and a potential abnormal reaction to the body's own proteins (self-proteins) could be responsible for the formation of granulomas in people who are genetically predisposed. Other names Sarcoidosis, sarcoid, Besnier-Boeck-Schaumann disease